Neuroendocrine cells in the lungs are:
1. Dendritic cells
2. Type I pneumocytes
3. Type II pneumocytes
4. APUD cells

Correct answer: 4. APUD cells

Explanation: APUD (amine precursor uptake and decarboxylation) cells are neuroendocrine cells found in respiratory system, G.I. tract and other organs; they manufactrure amines (e.g. 5-HT). These cells form carcinoid tumors.